In Cu 380A, 380 represents
1. Number of turns of copper wire
2. Surface area of CuT in sq.mm
3. Surface area of Cu in sq.mm
4. Effective life of CuT in quarters

Correct answer: 3. Surface area of Cu in sq.mm

Explanation: The numbers included in the names of the devices refer to the surface area (in sq.mm) of the copper on the device. Metallic copper has a strong anti-fertility effect.Park 23e pg: 496